The distance of aortic constriction of the oesophagus from the upper incisor teeth
1. 15 cm
2. 22.5 cm
3. 27.5 cm
4. 40 cm

Correct answer: 2. 22.5 cm

Explanation: First constriction, at the pharyngo-esophageal junction, 9 cm (6 inches) from the incisor teeth. Second constriction, where it's crossed by the arch of aorta, 22.5 cm (9 inches) from the incisor teeth. Third constriction, where it's crossed by the left principal bronchus, 27.5 cm (11 inches) from the incisor teeth. Fourth constriction, where it pierces the diaphragm, 40 cm (15 inches) from the incisor teeth. Ref - sciencedirect.com